Interferon is used in - a) CML  b) Multiple myeloma  c) Small cell Ca of lung   d) Non small cell Ca of lung  e) Renal cell Ca
1. abe
2. acd
3. ab
4. cd

Correct answer: 1. abe